Which of the following is not used for the treatment of insulin induced hypoglycemia?
1. Intravenous glucose
2. Glucagon
3. Adrenaline
4. Oral carbohydrates

Correct answer: 3. Adrenaline

Explanation: Ans. (C) Adrenaline(Ref: Harrison 16/e p2185)Hypoglycemia is treated urgently by oral glucose.It neuroglucopenia precludes oral feeding, i.v. glucose (25 g) should be given.If i.v. therapy is not practical, s.c. or i.m. glucagon should be given. Because glucagon primarily acts by glycogenolysis, it is ineffective in glycogen depletion states (e.g. alcohol induced hypoglycemia).